Rhomboid major is supplied by which type of neuron?
1. Unipolar
2. Pseudounipolar
3. Bipolar
4. Multipolar

Correct answer: 4. Multipolar

Explanation: Ans. is 'd' i.e., Multipolar(Ref: Principles of medical physiology p. 129)All skeletal muscles are supplied by motor neurons which are multipolar neurons.